Cobblestone conjunctivitis is seen in -
1. Spring Cattarrh
2. Phylctenular conjunctivitis
3. Inclusion conjunctivitis
4. Giany papillary conjunctivitis

Correct answer: 1. Spring Cattarrh

Explanation: Ans. is 'a' i.e., Spring Cattarrh * Cobble-stone or pavement stone appearance is seen in spring catarrh.Important signs of spring catarrhConjunctivalCornealPalpebralBulbar# Punctate epithelial keratitis# Ulcerative vernal keratitis: shallow transverse ulcer (Shield ulcer)# Vernal corneal plaques# Subepithelial scarring# Pseudogerontoxon: chracterized by a classical "cupid's bow" outline.* Papillary hypertrophy into polygonal papilla* Cobble stone (Pavement stone) appearance* Giant papilla (Cauliflower excrescence)* Gelatinous thickening around limbus* Horner trantas spots* Dusky red triangular congestion* Follicles are not seen in spring catarrh.